Oxygenated blood to the fetus is carried by
1. Umbilical artery
2. Umbilical vein
3. SVC
4. Pulmonary artery

Correct answer: 2. Umbilical vein

Explanation: Fetus receive oxygenated blood from placenta left and right umbilical vein. Ref : Ghai Essential pediatrics,eighth edition ,p.no:402